Serotonin syndrome may be precipitated by all of the following medications, Except -
1. Chlorpromazine
2. Pentazocine
3. Buspirone
4. Meperidine

Correct answer: 1. Chlorpromazine

Explanation: Ans. is 'a' i.e., Chlorpromazine Serotonin syndrome o Serotonin syndrome refers to a dangerous and potentially fatal syndrome caused by excess synaptic serotonin levels due to use of serotonin potentiating drugs. o This condition is associated confusion, altered conciousness, hyperthermia, tremors, myoclonus, rigidity and hyperreflexia. o Drugs causing serotonin syndrome are :? 1. Inhibiting 5-HT metabolism :- MAO inhibitors (e.g. tranylcypromine, phenelzine, meclobemide, selegilline) 2. Inhibit serotonin reuptake SSRls, TCAs, amphetamine, cocaine, pethidine (mepridine), Pentazocin, MDMA, tramadol, Nefazodone, dextromethrophon. 3. Increase 5-HT release :- Amphetamine, cocaine, fenfluramine, MDMA, sibutramine. 4. Serotonin Agonists Buspirone, lithium, LSD, Ergots (Dihydroergotamine), triptans (Sumitriptan), Piperazine. 5. Other :- ECT, trazodone / Nafazodone, Carbamezapine.